Most common cause of severe hematemesis in a child is –
1. Portal hypertension
2. Peptic ulcer
3. Mallory weiss syndrome
4. None of the above

Correct answer: 1. Portal hypertension

Explanation: "Massive  hematemesis in a child is almost always due to variceal bleeding". Variceal bleeding is due to portal hypertension.